Most common motility disorder leading to dysphagia:
1. Nut cracker esophagus
2. Esophageal web
3. Diffuse esophageal spasm
4. Achalasia cardia

Correct answer: 4. Achalasia cardia

Explanation: Ans. (d) Achalasia cardiaRef: Sabiston 20th Edition, Pagesl015-1018* Most common motility disorder -- Achalasia* Most common hypermotility disorder: Nut cracker esophagus